Protein content of breast milk is -
1. 0.55 gm/100 ml
2. 1.10gm/100 ml
3. 2.20gm/100ml
4. 3.30gm/ 100 ml

Correct answer: 2. 1.10gm/100 ml

Explanation: Ref: Park 25th edition Pgno :566